Metabolic abnormalities seen with congenital adrenal hyperplasia are all except
1. Hypotension
2. Hypokalemia
3. Hypo natremia
4. Metabolic acidosis

Correct answer: 2. Hypokalemia

Explanation: Decreased aldosterone causes metabolic acidosis
+
Hyponatremia
Hyperkalemia
Hypotension.